All of the following drugs are used in alcohol de-addiction except?
1. Naltrexone
2. Acamprostate
3. Disulfiram
4. Opioids

Correct answer: 4. Opioids

Explanation: ALCOHOL DE-ADDICATION Benzodiazepines (chlordiazepoxide and diazepam) are given to prevent withdrawal. These are long acting CNS depressants and can be withdrawn gradually. Naltrexone is an opioid antagonist that can be used to reduce alcohol craving. Acamprosate is an NMDA antagonist that can be used for maintenance therapy of alcohol abstinence. Disulfiram can be used in psychologically dependent persons who are motivated to quit alcohol. It is contraindicated in physically dependent individuals. Disulfiram produces severe distressing symptoms. Topiramate and ondansetron can also decrease alcohol craving.